Cause of RF in rhabdomyolysis is
1. Increased K
2. ) Increased P04
3. Increased uric acid
4. Myoglobin

Correct answer: 4. Myoglobin

Explanation: Myoglobin is released from injured muscle cells leading to acute kidney injury. Other endogenous compounds causing AKI - Hemoglobin Uric acid Myeloma light chains Ref:Harrison 20th edition pg no .2103